Primary curvatures of vertebral column are
1. Cervical & lumbar
2. Thoracic & sacral
3. Cervical & thoracic
4. Thoracic & Lumbar

Correct answer: 2. Thoracic & sacral